Cause of post-menopausal bleeding is :
1. Arrhenoblastoma
2. Cystadenoma
3. Granulosa cell tumour
4. Hilus cell tumour

Correct answer: 3. Granulosa cell tumour

Explanation: Granulosa cell tumour